Cystic artery is usually a branch of which of the following?
1. Right gastric artery
2. Right hepatic artery
3. Splenic artery
4. Celiac artery

Correct answer: 2. Right hepatic artery

Explanation: The cystic artery originates from the right hepatic artery within Calot's triangle. When approaching the gallbladder, the artery is divided into deep and superficial branches at the neck of the gallbladder. The superficial branch proceeds along the left side of the gallbladder. Ref - BDC 6e vol p276 IMage ref - semantischolar.org